A patient presents in the causality with history of abdominal pain. On examination the person is in shock, with severe abdominal tenderness and guarding. There was also one episode of bloody diarrhoea. He gives a history of recurrent abdominal pain soon after taking food which persists for about 3 hours after food. He also has a history of MI about 5 years back. What is your diagnosis?
1. Acute thrombotic mesenteric vascular occlusion
2. Acute pancreatitis
3. Acute duodenal ulcer perforation
4. Acute appendicitis

Correct answer: 1. Acute thrombotic mesenteric vascular occlusion

Explanation: The person has had recurrent episodes of abdominal angina as shown by the pain after food intake. He also has a history of MI which also suggests that he has atherosclerosis. The bloody diarrhoea is again suggestive of mesenteric vascular occlusion in this patient. Ref: Manipal Millennium Edition, Page 429; S.Das, Edition 5, Page 354